1st evidence of calcification of maxillary 2nd molar is seen in
1. 2 year
2. 2 ½ to 3 year
3. 7-8 year
4. At birth

Correct answer: 2. 2 ½ to 3 year